Patient with ascending paralysis, areflexia and sphincter sparing is seen in?
1. Botulinism
2. G.B.S
3. Snake bite
4. Polio

Correct answer: 2. G.B.S

Explanation: Option A: Descending paralysis post intake of honey in infants, child aspirates on feeds Option C: Ruled out as no history given Option D: Asymmetrical Descending Paralysis as 1st knee joint is Involved Option B: Motor manifestations like symmetrical flaccid paralysis Sensory manifestations like Paresthesia Autonomic manifestations like decreased HR Bladder /Bowel: sparing